Antidote for oxalic acid poisoning is
1. B.A.L.
2. Animal charcoal
3. Calcium gluconate
4. Magnesium

Correct answer: 3. Calcium gluconate

Explanation: Treatment of oxalic acid poisoning (1) The stomach is washed out carefully using calcium lactate or gluconate (2) The antidote for oxalate poisoning is any preparation of calcium which converts the poison into insoluble calcium oxalate.e.g. lime water, calcium lactate, calcium gluconate. calcium chloride, a suspension of chalk in water ormilk. (3) Calcium gluconate 10%, 10 ml. i.v. at frequent intervals. (4) Dialysis or exchange transfusion for renal failure.